Insulin release due to K+ closure is seen with
1. Nateglinide
2. Acarbose
3. Exenatide
4. Sitagliptin

Correct answer: 1. Nateglinide

Explanation: Glinides acts by the closure of potassium channels like sulphonylureas REF KD TRIpathi 8th ed